Hypoparathyroidism following thyroid surgery occurs within
1. 24 hours
2. 2-5 days
3. 7-14 days
4. 2-3 weeks

Correct answer: 2. 2-5 days

Explanation: Parathyroid insufficiency is due to the removal of the parathyroid glands or infarction through damage to the parathyroid end arteries; often both factors occur together. Vascular injury is probably far more important than inadvertent removal. The incidence of permanent hypoparathyroidism should be less than 1% and most cases present dramatically 2-5 days after an operation but, very rarely, the onset is delayed for 2-3 weeks or a patient with marked hypocalcemia may be asymptomatic.Ref: Bailey and Love, page no: 815